An antibiotic not acting on tubulin is
1. Bleomycin
2. Colchicine
3. Paclitaxel
4. Vincristine

Correct answer: 1. Bleomycin

Explanation: ANSWER: (A) BleomycinREF: Goodman Gillman manual of pharmacology and therapeutics 2008 edition various pages, h ttp://e n. wikipe dia. org/wiki/ Spindle_poisonMitotic spindle poisons:These poisons disrupt cellular reproduction by affecting the protein threads which connect the centromere regions of chromosomes, known as spindles (tubulin).MebendazoleColchicineGriesofulvinVinca Alkaloids (vincristine, vinblastine)Paclitaxel (Taxans)